Which of the following is given to treat thrombocytopenia secondary to anticancer therapy and is known to stimulate progenitor megakaryocytes?
1. Filgrastim
2. Oprelvekin
3. Erythropoietin
4. Iron dextran

Correct answer: 2. Oprelvekin

Explanation: Oprelvekin (IL-11) is used to prevent and treat thrombocytopenia.